Which is not used in pasteurization -
1. Phosphatase test
2. Methylene blue test
3. Coliform count
4. Standard plate count

Correct answer: 2. Methylene blue test

Explanation: Methylene blue reduction test is an indirect method for detection of microorganism. REF. PARK'S TEXTBOOK OF PREVENTIVE AND SOCIAL MEDICAL 21ST EDITION. PAGE NO - 606